Which of the following is a stimulus for closure of ductus arteriosus?
1. Increased O2 tension
2. Hypoxia
3. Prematurity
4. Hypercapnia

Correct answer: 1. Increased O2 tension

Explanation: a. Increased O2 tension(Ref: Nelson's 20/e p 2162)In the course of several days after birth, the high arterial Po2 constricts and eventually closes the ductus arteriosus, which eventually becomes the ligamentum arteriosum